Submentovertex is useful in viewing
1. Body of mandible
2. Fractures of zygomatic arch
3. Fractures of base of skull
4. All of the above

Correct answer: 4. All of the above